The commando operation is -
1. Abdomino-perineal resection of the rectum for carcinoma
2. Disarticulation of the hip for gas gangrene of the leg
3. Extended radical mastectomy
4. Excision of carcinoma of the tongue, the floor of the mouth, part of the jaw and lymph nodes enbloc

Correct answer: 4. Excision of carcinoma of the tongue, the floor of the mouth, part of the jaw and lymph nodes enbloc

Explanation: Ans. is 'd' i.e., Excision of carcinoma of the tongue, the floor of the mouth, part of the jaw and lymph nodes enbloc